Ligamentum denticulatum is:
1. Only a pair of pial extension
2. A dural derivative
3. Arachnoid extension only
4. Extends to sacral segments only

Correct answer: 1. Only a pair of pial extension